A 25 year old man presents with a kidney stone . He is married to his first Cousin and 6 months earlier , his 8 year - old son had a kidney stone as well diagnosis is .
1. PCKD
2. Medullary Cystic disease
3. Fanconi syndrome
4. Cystinuria

Correct answer: 4. Cystinuria

Explanation: Cystinuria  is the most common cause of stones in Childhood.